Which of the following cells start producing collagen in case of Hepatic cirrhosis
1. Endothelial cell
2. Kupffer cell
3. Stellate cell
4. Bile duct epithelium

Correct answer: 3. Stellate cell

Explanation: Stellate cells (Ito cells) in space of Disse get transformed by cytokines to myofibroblasts - collagen producing cells.